Ventral mesogastrium derivatives includes all, except
1. Falciform ligament
2. Coronary ligament
3. Lesser omentum
4. Gastrosplenic ligament

Correct answer: 4. Gastrosplenic ligament

Explanation: DORSAL MESOGASTRIUM is divided by the development of spleen in to a part between stomach and spleen ( gastro splenic ligament) and A part between spleen and posterior abdominal wall( lienorenal ligament) VENTRAL MESOGASTRIUM derivatives: Falciform ligament Right and left triangular ligaments Superior and inferior layers of coronary ligament Lesser omentum REFERENCE: TEXTBOOK OF CLINICAL EMBRYOLOGY..VISHRAM SINGH SECOND EDITION...PAGE NO: 158